Fertilization occurs in which part of the fallopian tube:
1. Fimbrial
2. Isthmus
3. Ampulla
4. Interstitial

Correct answer: 3. Ampulla

Explanation: Ans. C: AmpullaOn maturity of the ovum, the follicle and the ovary's wall rupture, allowing the ovum to escape.The egg is caught by the fimbriated end and travels to the ampulla where fertilization occurs; the fertilized ovum, now a zygote, travels towards the uterus aided by activity of tubal cilia and activity of the tubal muscle.